Absent stomach bubble on antenatal ultrasonography is an important finding for antenatal diagnosis of ?
1. Congenital heart disease in the foetus
2. Oesophageal atresia in the foetus
3. Omphalocele in the foetus
4. Spina bifida in the foetus

Correct answer: 2. Oesophageal atresia in the foetus

Explanation: Ans. is 'b' i.e., Oesophageal atresis in the foetus